Rhinolalia clausa is associated with the following except:
1. Adenoids
2. Allergic rhinitis
3. Palatal paralysis
4. Nasal polyps

Correct answer: 3. Palatal paralysis

Explanation: Rhinolalia clausa Rhinolalia aperta Hyponasality Hypernasality-Velopharyngeal insufficiency Adenoids Allergic rhinitis Nasal polyps Cleft palate Submucous cleft Bifid palate Palatal palsy